Dupuytren's contracture is seen in
1. Peyronie's disease
2. Hypospadias
3. Epispadias
4. Exostrophy

Correct answer: 1. Peyronie's disease

Explanation: Dupuytren's contracture refers to localised thickening of palmar aponeurosis and later formation of nodules with severe permanent changes in metacarpophalangeal and proximal interphalangeal joints. It is often associated with the following conditions : * Plantar fasciitis 5%-Ledderhose's disease * Mediastinal and retroperitoneal fibrosis * Peyronie's disease of penis 3% * Nodules in the face and ear * Pellegrini-Stieda's disease. Reference : page 163 SRB's manual of surgery 5th edition